All of the following is true about dashboard injury except:
1. It is associated with posterior dislocation of the hip
2. Sciatic nerve may be involved leading to foot drop
3. Avascular necrosis of the hip could be a late complication
4. The point of impact is on the greater trochanter

Correct answer: 4. The point of impact is on the greater trochanter

Explanation: Posterior Dislocation and Fracture-Dislocation-Dashboard injury Dashboard Injury is associated with Post. dislocation > PCL avulsion Present with a shortened, internally rotated, adducted limb in slight flexion. It is associated with a fracture of the femoral head or acetabulum. The sciatic nerve lies behind the posterior wall of the acetabulum- may be damaged in a posterior dislocation of the hip resulting in foot drop and other symptom. The force is transmitted up the femoral shaft NOT the greater trochanter.